Lysozyme is present in all secretions except:
1. Sweat
2. Egg
3. Tears
4. Saliva

Correct answer: 1. Sweat

Explanation: Lysozyme is present in tears, egg, saliva and nearly in all secretions except in CSF, sweat and urine.